Drug of choice for drug induced parkinsonism:
1. Levodopa
2. Benserazide
3. Benzhexol
4. Selegiline

Correct answer: 3. Benzhexol

Explanation: Ans. C. BenzhexolDOC for parkinsonism is pramipexole, ropinirole. DOC for drug induced is benzhexol. Most effective drug is levodopa and carbidopa. Disease modifying drug is selegiline.